True about light microscopy in minimal change disease is -
1. Loss of foot process seen
2. Anti GBM Abs seen
3. IgA deposits seen
4. No change seen

Correct answer: 4. No change seen

Explanation: Ans. is 'd' i.e., No change seen Important pathological features of Minimal Change disease:o On light microscopy-No abnormality.o On electron microscopy-Fusion of foot processes of epithelial cellsMinimal change diseaseo Minimal Change Disease is the most common cause of Nephrotic syndrome in children.o Edema and Selective proteinuria are features of nephrotic syndrome. Fever may be present on account of increased susceptibility to infection.o Minimal change disease prsents with insidious onset of nephrotic syndrome in children below 6 years of age.o Hypertension is not a feature of nephrotic syndrome and is rare in Minimal change disease. Hematuria (a finding of nephritic syndrome) is also rare.o Pathological findings include1. Light microscopy-No abnormality2. Electron microscopy-Obliteration (loss) and fusion offoot processes of epithelial cells.3. Immunofluorescence-No deposits of immune reactants4. Serum complements-Normal levelso Minimal change disease has very good prognosis with excellent response to steroids.